Which of following is true about allodynia?
1. Hyperalgesia
2. Loss of sensory sensations
3. Perception of non painful stimulus as pain
4. Hyperaesthesia

Correct answer: 3. Perception of non painful stimulus as pain

Explanation: *Allodynia describes the situation in which a non painful stimulus ,once perceived ,is experienced as painful ,even excruciating . Allodynia refers to central pain sensitization (increased response of neurons) following normally non-painful, often repetitive, stimulation. Allodynia can lead to the triggering of a pain response from stimuli which do not normally provoke pain. Ref Harrison20th edition pg 2245